Red velvety appearance of gastric mucosa is seen in poisoning with -
1. Abrus precatorius
2. Lead
3. Arsenic
4. Copper

Correct answer: 3. Arsenic

Explanation: Red velvety appearance of gastric mucosa is characteristic of arsenic poisoning.